Cellular content of DNA is doubled in
1. S phase
2. M phase
3. G1 phase
4. G2 phase

Correct answer: 1. S phase